Of the following cell types found in connective tissue, which is most often present along capillaries and resembles fibroblasts?
1. Plasma cell
2. Lymphocyte
3. Macrophage
4. Pericyte

Correct answer: 4. Pericyte

Explanation: Pericytes are pluripotential cells that resemble Fibroblasts, although they are smaller, and are adjacent to capillaries.